The strength of gypsum products is generally expressed in terms of
1. Tensile strength
2. Wet strength
3. Green strength
4. Compressive strength

Correct answer: 4. Compressive strength